Both intranuclear and intracytoplasmic inclusions are present in which of the following viruses
1. Pox Virus
2. Measles virus
3. Hepatitis B virus
4. HIV

Correct answer: 2. Measles virus